Which of the following lipid lowering drug acts by inhibiting HMG-CoA reductase:
1. Resins
2. Statins
3. Fibric acid deravatives
4. Bile acid sequestrants

Correct answer: 2. Statins

Explanation: Ans. B: Statins Statins act by competitively inhibiting HMG-CoA reductase, the first committed enzyme of the HMG-CoA reductase pathway. Because statins are similar to HMG-CoA on a molecular level they take the place of HMG-CoA in the enzyme and reduce the rate by which it is able to produce mevalonate, the next molecule in the cascade that eventually produces cholesterol, as well as a number of other compounds.